Hypoxic pulmonary vasoconstriction:
1. Depends more on the PO2 of mixed venous blood than alveolar gas
2. Is released in the transition from placental to air respiration
3. Involves CO2 uptake in vascular smooth muscle
4. Partly diverts blood flow from well-ventilated regions of diseased lungs

Correct answer: 2. Is released in the transition from placental to air respiration

Explanation: The great reduction in pulmonary vascular resistance during the transition from placental to normal respiration is largely brought about by the process of hypoxic pulmonary vasoconstriction. The other choices are incorrect because the PO2 of alveolar gas is much more important than the PO2 of mixed venous blood, CO2 uptake is irrelevant, the constriction partly diverts blood flow from poorly ventilated, not well-ventilated regions of diseased lungs, and the inhalation of nitric oxide partly reverses hypoxic pulmonary vasoconstriction.